Which of the following is the MOST common morbidity associated with Meniere's disease?
1. Chronic otitis externa
2. Chronic otitis media
3. Permanent hearing loss
4. Secondary development of a craniopharyngioma

Correct answer: 3. Permanent hearing loss

Explanation: Patients with Meniere's disease often have transient hearing loss in the affected ear(s) during the vertigo episodes. With repeated episodes, the vertigo often improves, but the hearing loss can become permanent. Patients with Meniere's disease can usually be treated with medication to reduce their vertigo (antihistamines such as meclizine, anticholinergics such as scopolamine, benzodiazepines such as diazepam); some cases with incapacitating vertigo are treated with surgery or ototoxic drugs (such as high dose streptomycin). Meniere disease is unrelated to middle or outer ear infection. Meniere disease is apparently unrelated to tumor. Ref: Johnson J., Lalwani A.K. (2012). Chapter 56. Vestibular Disorders. In A.K. Lalwani (Ed), CURRENT Diagnosis & Treatment in Otolaryngology--Head & Neck Surgery, 3e